Acute graft rejection occurs within
1. 3 hours
2. 3 days
3. 3 months
4. 3 years

Correct answer: 3. 3 months

Explanation: Answer- C. 3 monthsAcute rejection - It occurs 5 days to 3 months after transplantation.Both cell-mediated (cellular) rejection and humoral (antibody mediated) rejection are involved.